Which is the intravenous anesthetic agent contributing in good analgesia:-
1. Thiopentone
2. Propofol
3. Etomidate
4. Ketamine

Correct answer: 4. Ketamine

Explanation: Ketamine produces very good analgesia. Ketamine can be used to reduce post operative pain as it produces profound analgesia. It inhibits nociceptive central hypersensitization. Besides, ketamine may be effective in the treatment of cancer pain, chronic neuropathic pain, phantom limb pain, fibromyalgia, complex regional pain syndrome, visceral pain, and migraine.